In which one of the following conditions, is a renal biopsy contraindicated -
1. Acute renal failure
2. Uncontrolled hypertension
3. Nephrotic syndrome
4. Isolated hematuria

Correct answer: 2. Uncontrolled hypertension

Explanation: Kidney biopsy is contraindicated in- Uncontrollable hypertension Active urinary tract infection Bleeding diathesis(including ongoing anticoagulation) Severe obesity Not advised in bilaterally small kidneys as It is technically difficult and greater chance of bleeding There is so much scarring that the underlying disease may not be apparent. The window of opportunity to render disease specific therapy has passed. Ref:Harrison 20 th edition pg no 2120